Durcks granuloma seen in:
1. Spleen
2. Heart
3. Brain
4. Lymph node

Correct answer: 3. Brain

Explanation: Durcks Granuloma: Seen in cerebral malaria infection. Plasmodium Falciparum infected RBC cause stasis in blood vessel of Brain leading to granuloma formation. Infected RBC can be visualized with Field stain. Granuloma in spleen: can be due to TB, histoplasmosis.